A 45 year old male presents to OPD with with acute abdominal pain . On examination it seems to have spread to retroperitoneal structures . Which of the following is the most likely to get affected
1. Stomach
2. Transverse colon
3. Jejunum
4. Descending colon

Correct answer: 4. Descending colon

Explanation: The descending colon is a retroperitoneal organ. The rest of the organs are surrounded by peritoneum. Other retroperitoneal organs are: - Pancreas, Duodenum, Ascending colon, Descending colon, Middle third of the rectum Image showing Pancreas and Duodenum lying retroperitoneally.